The following measures are noted 1,2,3,4 and 6 during a study. True regarding the following observations:
1. Mean 3
2. Median 3
3. Mode 3
4. Standard deviation 1

Correct answer: 2. Median 3

Explanation: (Refer: K. Park’s Textbook of Preventive and Social medicine, 24th edition, pg no: 884)
Measure of central tendency